Father has a blood group B: Mother has AB: Children are not likely to have the following blood group-
1. O
2. A
3. B
4. AB

Correct answer: 1. O

Explanation: Ans-ABlood group inheritance by phenotypeBlood group (Parents)OABABOOO or AO or BA or BAO or AO or AO, A, B, or ABA,B orABBO or BO, A, B or ABO or BA, B or ABABA or BA, B or ABA, BorABA, B or AB